Exsanguinating blood loss in?
1. Closed humerus fracture
2. Closed tibia fracture
3. Open femur fracture
4. Open humerus fracture

Correct answer: 3. Open femur fracture

Explanation: Ans. is 'c' i.e., Open femur fracture